In a study, dye ABC is used to measure cardiac output and blood volume. The dye is replaced with a new dye XYZ which diffuses more rapidly out of the capillaries. This would affect the study by
1. Normal cardiac output, altered blood volume
2. Altered cardiac output, normal blood volume estimation
3. Both altered
4. Both normal

Correct answer: 1. Normal cardiac output, altered blood volume

Explanation: In estimation of cardiac output by the dye, the dye is injected through a vein and then blood is collected from the artery after a single cycle through the heart. So there is no diffusion out through the capillaries in between. Hence the cardiac output is unchanged in the given scenario. But the measured blood volume is affected because the measurement is done after it passes through the capillaries.